All are antiplatelets drugs EXCEPT:
1. Aspirin
2. Clopidogrel
3. Dipyridamol
4. Warfarin

Correct answer: 4. Warfarin

Explanation: (Warfarin): Ref: 571-72-KDT (609-602-KDT 6th)ANTIPLATELET-DRUGS (Antithrombotic drugs)* Aspirin* Clopidogrel* Dipyridamol* Abciximab* Ticlopidine (GPII b/IIIa antagonist)* Antifibrinolvtics - Epsilon amino-caproic acid (EACA) Transexaemic acid Aprotinin* Fibrinolytics (Thrombolytics) - Streptokinase, urokinase, Alteplase* Warfarin is oral anticoagulants